All of the following statements regarding treatment GBS are true, Except:
1. Corticosteroids may be used for early recover and prevent long hospital stay
2. High dose intravenous immunoglobulin (IVIg) can be initiated
3. Plasmapbaresis can be done
4. High dose intravenous immunoglobulins and plasmapharesis are equally effective

Correct answer: 1. Corticosteroids may be used for early recover and prevent long hospital stay

Explanation: Answer is A (Corticosteroids may be used for early recovery and prevent long hospital stay): Glucocorticoids have not beam found to be effective in Guillan-Barre Syndrome. 'Glucocorticoids have not been found to be effective in GBS'